Which one of the following antimalarial drugs is safe for use in, pregnancy ?
1. Atovaquone
2. Tetracycline
3. Proguanil
4. Primaquine

Correct answer: 3. Proguanil